All of the following statements about Mucosa Associated Lymphoid Tissue Lymphomas (MALT) are true, Except:
1. Present at extranodal sites
2. Predisposed by H. Pylori infection
3. Present as stromal polyps
4. Are sensitive to chemotherapy

Correct answer: 3. Present as stromal polyps

Explanation: Answer is C (Present as stromal polyps): Stromal polips are infrequent primary gastric malignancies classified as Gastrointestinal Stromal Cell Tumors (GSIT). These are not associated with MALT Lymphomas MALT Lymphomas presents at extranodal sites (Harrisons) MALT Lymphomas are also called 'Extranodal Margmal zone B cell Lymphomas of MALT type' and typically occur at extranodal sites as suggested by the terminology MALT Lymphomas are predisposed by H.Pylori (Harrison) Gastric presemation of 11141.1" Lymphoma is associated with H. Pylori injection - Harrisons MALT Lymphomas are sensitive to chemotherapy Extensive MALT Lymphomas (Ire most Oen treated with single agent chemotherapy such as chloramhticil- Harrison